Complications of diverticulitis include:
1. Carcinoma of the colon
2. Extraintestinal manifestations such as arthritis, iritis, and skin rashes
3. Fistulation to adjacent organs such as the bladder, with ensuing Colo vesical fistula
4. Arteriovenous fistulae of the intestine

Correct answer: 3. Fistulation to adjacent organs such as the bladder, with ensuing Colo vesical fistula

Explanation: Diverticulitis results from acute inflammation of a colonic diverticula. The process may extend into adjacent organs (e.g., the urinary bladder and a fistula between the colon and bladder colovesical fistula may ensue). This leads to passage of colonic gas and fecal material into the bladder and urine resulting in pneumaturitis and fecaluria. Sigmoid resection and repair of the bladder fistula is indicated.